Not a risk factor for neonatal hyperbilirubinemia:
1. Male gender
2. Prematurity
3. Cephalhematoma
4. Increased feeding (calorie) intake

Correct answer: 4. Increased feeding (calorie) intake

Explanation: Ans. D. Increased feeding (calorie) intakeNeonatal factors which increase the risk of hyperbilirubinemia are prematurity, low birth weight, male gender, reduced calorie intake and breast mild feeding.